True about polymerase chain reaction (PCR):
1. Carried out by thermostable DNA polymerase
2. Exponential
3. Specific
4. All of the above

Correct answer: 4. All of the above

Explanation: A, B, C i.e. Carried out by thermostable DNA polymerase; Exponential; Specific